Which of the organism causes malignant otitis externa?
1. Staphylococcus aureus
2. Pseudomonas aeruginosa
3. Candida albicans
4. E. coli

Correct answer: 2. Pseudomonas aeruginosa

Explanation: Malignant (necrotizing) otitis externa is a particularly aggressive life-threatening form of infection caused by Pseudomonas aeruginosa infection. It usually in the elderly diabetics, or in those on immunosuppressive drugs. Its early manifestations resemble diffuse otitis externa but there is excruciating pain and appearance of granulations in the meatus. Facial paralysis is common.